Structure of antibodies is composed of -
1. Single peptide chain
2. Two peptide chain
3. Non sulphur amino acid
4. 2 long and 2 short peptide chains

Correct answer: 4. 2 long and 2 short peptide chains

Explanation: Antibody or immunoglobulin are glycoproteins molecules consisting of four polypeptide chains. - two identical heavy chains ( H) , molecular weight > 50 kDa. - two identical light chains (L), molecular weight > 25kDa. - the heavy chains are of five types called alpha, gamma, delta , epsilon and mu. - light chains are similar in all class of immunoglobulins. Reference : Anathanarayan & paniker's 9th edition, pg no: 94